Type-II respiratory failure is associated with:
1. Flail chest
2. Pulmonary edema
3. Interstitial lung disease
4. ARDS

Correct answer: 1. Flail chest

Explanation: Ans: A: Flail chestHypercapnic respiratory failure (type II) is characterized by a PaCO2 of more than 50 mm Hg. Hypoxemia is common in patients with hypercapnic respiratory failure who are breathing room air. The pH depends on the level of bicarbonate, which, in turn, is dependent on the duration of hypercapnia.Type I (Oxygenation) respiratory failure:- Adult respiratory distress syndrome (ARDS)- Asthma- Pulmonary oedema- Chronic obstructive pulmonary disease (COPD)- Interstitial fibrosis Pneumonia- Pneumothorax- Pulmonary embolism- Pulmonary hypeensionType II Respiratory Failure:Disorders affecting central ventilatory drive- Brain stem infarction or haemorrhage- Brain stem compression from supratentorial mass- Drug overdose, Narcotics, Benzodiazepines, Anaesthetic agents etc.Disorders affecting signal transmission to the respiratory muscles- Myasthenia Gravis- Amyotrophic lateral sclerosis- Gullain-Barre syndrome- Spinal -Cord injury Multiple sclerosis- Residual paralysis (Muscle relaxants)Disorders of respiratory muscles or chest-wall- Muscular dystrophy- Polymyositis- Flail ChestType Ill respiratory Failure:- Occurs as a result of lung atelectasisType IV respiratory Failure:It occurs due to hypoperfusion of respiratory muscle in a patient with shock.